Consider the following four events of development of fetus: UPSC 08; COMEDK 15 Development of external genitalia Appearance of scalp hair Centers of ossification in bones Formation of eyelashes and eye brows What is the order in which they appear from lower to higher gestation?
1. 1, 3, 2, 4
2. 1, 3, 4, 2
3. 3, 1, 4, 2
4. 3, 1, 2, 4

Correct answer: 4. 3, 1, 2, 4

Explanation: Ans. 3, 1, 2, 4